The risk of having a baby with Down syndrome for a 30-year-old woman increases
1. If her pregnancy has been achieved by induction of ovulation by menotropins
2. If she has had a previous baby with Turner syndrome (45,X)
3. If she has had a previous baby with triploidy
4. If she has had three first-trimester spontaneous abortions

Correct answer: 4. If she has had three first-trimester spontaneous abortions

Explanation: The risk of aneuploidy is increased with multiple miscarriages not attributable to other causes such as endocrine abnormalities or cervical incompetence.A 45, X karyotype results from loss of chromosome material and does not involve increased risks for nondisjunction errors.Similarly, induced ovulation does not result in increased nondisjunction, and hyper model conceptions (triploidy) do not increase the risk for future pregnancies.